The deficiency of glucose - 6-phosphate dehydrogenase may cause
1. Diabetes mellitus
2. Haemolytic anemia
3. Wernicke-Korsakaoff syndrome
4. Porphyria

Correct answer: 2. Haemolytic anemia

Explanation: G-6-PD deficiency causes haemolytic anaemia. It is an X-linked recessive disorder. Ref : Biochemistry by U. Satyanarayana 3rd edition Pgno : 274